The following test is not used for diagnosis of leprosy -
1. Lepromin test
2. Slit skin smear
3. Fine needle aspiration cytology
4. Skin biopsy

Correct answer: 1. Lepromin test

Explanation: Lepromin test is not a diagnostic test.The 2 drawbacks that stand in the way of this test being used for diagnosis are: Positive results in non cases Negative results in lepromatous and near lepromatous cases Reference; Park's Textbook of preventive and social medicine, 24th edition.Pg no. 338